Bictegravir was approved by FDA recently for
1. Cystic fibrosis
2. TB
3. Hypertension
4. HIV

Correct answer: 4. HIV

Explanation: Bictegravir (an Integrase Inhibitor) is a component of the fixed-dose combination product bictegravir/emtricitabine/tenofovir alafenamide (brand name: Biktarvy), which received marketing approval for the treatment of HIV infection by U.S. Food and Drug Administration in February 2018.